Which of the following is true regarding relaxation of pelvic joints at term in pregnancy
1. Is permanent and not accentuated in subsequent pregnancies.
2. Allows for an increase in transverse diameter of the mid - pelvis.
3. Results in marked mobility of pelvis at term because of downward gliding movement of the sacroiliac joint.
4. Displacement of sacroiliac joint increase outlet diameters by 1.5 to 2.0 cm in dorsal lithotomy position.

Correct answer: 4. Displacement of sacroiliac joint increase outlet diameters by 1.5 to 2.0 cm in dorsal lithotomy position.

Explanation: Pelvic Joints during pregnancy show marked relaxation caused by upward gliding of sacroliac joint. The Displacement which is greatest in dorsal lithotomy position, may increase diameter of outlet by 1.5 to 2.0 cm.